In Lobar pneumonia, the presence of fibrinosuppurative exudates with disintegration of red cells is seen in the stage of -
1. Congestion
2. Red hepatization
3. Grey hepatization
4. Resolution

Correct answer: 3. Grey hepatization